The temperature (in °F) of the mixing slab for silicate cements should be
1. 55 - 65
2. 65 - 75
3. 75 - 85
4. 85 - 95

Correct answer: 2. 65 - 75

Explanation: Mixing Silicate Cement:
Starting with the large segment, the powder is incorporated in the liquid one segment at a time, using the spatula in a rapid folding manner and using light pressure. Each segment is mixed only until wet throughout and the next segment is then immediately added. Since the gel structure is almost completely formed after 1 minute, the total mixing time should not exceed 60 seconds. The normal setting time of silicate cement is between 3 and 8 minutes. The only safe way to maintain and prolong the setting reaction is to lower the temperature of the mixing slab. Slabs are usually cooled between 65º and 76º F for mixing, if this is not below the point where moisture condenses on the slab. To avoid disturbing the gel, the mix must be completed in 1 minute, so the reaction will occur when the material is confined and conformed in the cavity preparation.